Multi load device refers to
1. First generation IUCD
2. Oral contraceptive pills
3. Barrier contraceptives
4. Second generation IUCD

Correct answer: 4. Second generation IUCD